Location of rest in RPI or RPA system is:
1. Mesial
2. Distal
3. Either of the above
4. None of the above

Correct answer: 1. Mesial